The following is true of vancomycin EXCEPT :
1. It is a bactericidal antibiotic active primarily against gram positive bacteria
2. It acts by inhibiting bacterial protein synthesis
3. It is an alternative to penicillin for enterococcal endocarditis
4. It can cause deafness as a dose related toxicity

Correct answer: 2. It acts by inhibiting bacterial protein synthesis